Hysterosalpingography for diagnosis of mullerian duct anomalies is done between what  days of cycle
1. day 2 - day 5
2. day 5 - day 11
3. day 11 - day 14
4. day 22 - day 24

Correct answer: 2. day 5 - day 11

Explanation: Hysterosalpingography is done between day 5 to day 11 of menstrual cycle.